Tattooing around the entry wound is seen in ?
1. Close shot
2. Contact shot
3. Distant shot
4. All of the above

Correct answer: 1. Close shot

Explanation: Ans. is 'a' i.e., Close shot